Reverse splitting of 2nd heart sound heard in -
1. RBBB
2. LBBB
3. Tricuspid stenosis
4. AR

Correct answer: 2. LBBB

Explanation: In LBBB, Left ventricular depolarisation is late than RV depolarisation, so A2 appeares late than P2. Causes of Reverse splitting : RV pacemaker WPW syndrome Eisen menkers syndrome AS LVF LBBB Ref : Harrison's 20th edition pg 1448